At room temperature reconstituted solutions of Thiopentone is stable for-
1. 6 days
2. 6 weeks
3. 6 hours
4. 6 mins

Correct answer: 1. 6 days

Explanation: The commercially available powder of Thiopentone is stable at room temperature indefinitely. At room temperature (22degC) reconstituted solutions of thiopental remain stable and sterile for at least 6 days. Thiopentone can be reconstituted with Normal saline Glucose Water Cannot be reconstituted with Ringer Lactate.